What is the formula for parenteral iron therapy?
1. 4.4 body weight (kg) Hb deficit (g/dl)
2. 3.3 body weight (kg) Hb deficit (g/dl)
3. 2.2 body weight (kg) Hb deficit (g/dl)
4. 1.1 body weight (kg) Hb deficit (g/dl)

Correct answer: 1. 4.4 body weight (kg) Hb deficit (g/dl)

Explanation: Ans. is 'a' i.e., 4.4 body weight (kg) Hb deficit (g/dl) Total parenteral iron requirement can be calculated by :? 4.3 x Body weight (kg) x Hb deficit (g/dl)